Definition of perjury comes under ?
1. Sec 191 IPC
2. Sec 193 IPC
3. Sec 184 IPC
4. Sec 207 IPC

Correct answer: 1. Sec 191 IPC

Explanation: Sec 191 IPC : Definition of perjury.
Sec 193 IPC : Punishment for perjury.